A body builder taking steroids and creatinine presented with hip pain and unable to squat. On MRI, femoral articular surface is disrupted and there is cresent sign seen on radiograph. What is the diagnosis?
1. AVN
2. Osteochondroma
3. TB hip
4. Fracture neck of femur

Correct answer: 1. AVN

Explanation: History of intake of steroids usually results in avascular necrosis. The classic appearance of a thin subchondral fracture line known as "Crescent sign". It is seen on X -ray signifies Avascular necrosis. Most common location of AVN is Head of Femur which is called Chandelier's sign.